All of the following reactions are catalyzed by microsomal enzymes EXCEPT:
1. Glucuronidation
2. Acetylation
3. Oxidation
4. Reduction

Correct answer: 2. Acetylation

Explanation: - Acetylation is done by N-acetyl transferase which is a non-microsomal enzyme.
- Most of the Phase 1 reactions and Glucuronidation is done by microsomal enzymes.